The following are examples of apoptosis, except
1. Menstrual cycle
2. Tumour necrosis
3. Graft versus host disease
4. Pathological atrophy following duct obstruction

Correct answer: 2. Tumour necrosis

Explanation: NecrosisApoptosisAlways pathological Maybe physiological or pathological Associated with disruption of cellular homeostasis Important for development, homeostasis & elimination of pathogens & tumour cellsAffects contiguous group of cellsAffects single cellCell size increased Cell size shrunken Passive Active Cause inflammatory reaction No inflammatory reaction Plasma membrane disrupted Plasma membrane intact Smear pattern on electrophoresis Step ladder pattern on electrophoresis